Mandibular nerve passes through ?
1. Formanen rotundum
2. Foramen lacerum
3. Stylomastoid foramen
4. Foramen ovale

Correct answer: 4. Foramen ovale

Explanation: Foramen ovale